Most cardiotoxic local anaesthetic:
1. Dibucaine
2. Bupivacaine
3. Lignocaine
4. Chlorprocaine

Correct answer: 2. Bupivacaine

Explanation: Ans: (b) BupivacaineRef: KDT 6th ed. 1357* Bupivacaine is a local anesthetic agent from Amide group.* It is most cardiotoxic LA.* Shortest acting LA: Chlorprocaine* Longest acting LA: Dibucaine* Most commonly used LA: Lignocaine* Local anesthetic which causes methhemoglobinemia: Prilocaine